Which of the following is a coenzyme
1. Thiamine pyrophosphate
2. ATP
3. Pyridoxal phosphate
4. All of these

Correct answer: 4. All of these

Explanation: Co-enzyme Group transferred Thiamine pyrophosphate (TPP) Hydroxy ethyl Pyridoxal phosphate (PLP) Amino group Biotin Carbon dioxide Carbon dioxide Coenzyme-A (Co-A) Acyl groups Tetra hydrofolate (FH4) One carbon groups Adenosine triphosphate (ATP) Phosphate